A lady while driving a car meets with an accident. She was admitted in an ICU for 6 months. After being discharged, she often gets up in night and feels terrified and has fear to sit in car again. The diagnosis is :
1. Panic Disorder
2. Phobia
3. Conversion disorder
4. Post-traumatic stress disorder

Correct answer: 4. Post-traumatic stress disorder

Explanation: Ans. is 'd' Post traumatic stress disorder PTSD is type of reaction to stress & adjustment disorderSymptoms are not always immediate, there may be latency. There is no clear temporal relation. It is characterized byRecollection of stressful events in dreams images or thoughts.Sense of re-experiencing stressMarked avoidance of situation that arouse recollection of stressful eventsMarked anxietyAnhedonia (inability to exp. pleasure)Partial amnesia of stressful eventsOther stress reactions isAcute stress reaction -There is an Immediate & clear temporal relation b/w an exceptional stress (death, accident, rape) and onset of sympt.Symptoms resolves rapidly if stress is removed.If stress continues resolution of symptoms begin after, 1-2 days & minimal after 3 days.